Samuel Hahnemann is referred to as Founding Father of:
1. Ayurveda
2. Allopathy
3. Homeopathy
4. Yoga

Correct answer: 3. Homeopathy

Explanation: Ans. (c) Homeopathy* Founding Father of Homeopathy: Samuel Hahnemann (Germany)ALSO REMEMBERHOMEOPATHY:* Principle of Fiomeopathy system of medicine:- First principle -'similia similibus curenter': In healthy persons, produces symptoms similar to those of the disease being treated (known as 'Human drug pathogenicity study').- Second principle: Single medicine at the time of treatment- Third principle: Minimum dose to be used* ISM and H (Indigenous Systems of Medicine and Homeopathy) have been now re-designated as 'AYUSH system' of medicine- Ayurveda- Yoga and Naturopathy- Unani- Siddha- Homeopathy